Tuberculosis complex include all except -
1. M. tuberculosis
2. M. bovis
3. M. kansasii
4. M. microti

Correct answer: 3. M. kansasii